Pompholyx affects –
1. Palms & soles
2. Groin
3. Scalp
4. Trunk

Correct answer: 1. Palms & soles

Explanation: POMPHOLYX

An attack of pompholyx is characterized by the sudden onset of crops of clear vesicles, which appear 'sago-like'.
Itching may be severe, preceding the eruption of vesicles.
The attack subsides spontaneously in 2-3 weeks.
In mild cases, only the sides of the fingers may be affected, but in a typical case, the vesicles develop symmetrically on the palms and/or soles.